Complete unilateral congenital cataract should preferably be operated:
1. Within a few weeks of birth
2. At the age of 6 months
3. At the age of 2 years
4. At the age of 5 years

Correct answer: 1. Within a few weeks of birth

Explanation: Ans. Within a few weeks of birth